Multiple schwannomas are seen with
1. NF1
2. NF2
3. Noonan's syndrome
4. Tuberous sclerosis

Correct answer: 2. NF2

Explanation: Multiple schwannomas occur in association with neurofibromatosis type 2 (NF2) and schwannomatosis. ... Schwannomatosis is the third major form of neurofibromatosis and involves the development of multiple schwannomas in the absence of vestibularschwannomas.